Berkesonian bias is a type of:
1. Information bias
2. Interviewer bias
3. Selection bias
4. Recall bias

Correct answer: 3. Selection bias